Which of the following drug can be given intravenously, epidurally or by transdermal route –
1. Fentanyl
2. Thiopental
3. Succinylcholine
4. Vecuronium

Correct answer: 1. Fentanyl

Explanation: Fentanyl can be given by IM, IV, transmucosal, transdermal (fentanyl patch), intrathecal and epidural routes.